Most common nerve in the neck from which schwannoma arises -
1. Trigeminal
2. Accessory
3. Hypoglossal
4. Vagus nerve

Correct answer: 4. Vagus nerve

Explanation: Most common nerve from which schwannomas arise is eighth cranial nerve.
The fifth cranial nerve is the second most frequent site.
At both these sites tumors is intradural (not in Neck).
Outside the dura, Schwannomas are most commonly found with large nerve trunks, where the motor and sensory modalities are mixed (eg. Vagus nerve).